Perfusion pressure is
1. Arterial pressure
2. Venous pressure
3. Arterial–venous pressure difference
4. Pressure in left ventricle

Correct answer: 3. Arterial–venous pressure difference

Explanation: Perfusion pressure is arterial pressure minus venous pressure.